Which of the following best methods of urine collection is associated with least contamination?
1. Suprapubic aspiration
2. Mid stream collection
3. Catheterization
4. Urine Bag specimen

Correct answer: 1. Suprapubic aspiration

Explanation: Supra pubic aspiration of urine collection is associated with least contamination. Ref: Diseases of The Kidney and Urinary Tract, 8th Edition, Page 832; Essential Procedures for Practitioners in Emergency, Urgent And Primary Care Settings By Theresa M Campo, Kaith A Laffey, Page 285; Urological Emergencies in Clinical Practice By Hashim Hashim, John Reynard, Page 168